Road to health chart was first given by:
1. John Snow
2. David Morley
3. Dr Francis Peabody
4. Alfred Grojtahn

Correct answer: 2. David Morley

Explanation: The growth or "road to health" chart was first designed by David Morley and later modified by WHO. Growth chart is designed primarily for the longitudinal follow-up. REMEMBER: In Weight -for-age chart, height is not taken into consideration Ref: Park's textbook of Preventive and Social Medicine, 21st edition, page-502